Unilateral chronic conjunctivitis may be associated with
1. Habit of smoking
2. Use of uniocular microscope
3. Foreign body retained is the fornix
4. Unilateral aphakia

Correct answer: 3. Foreign body retained is the fornix

Explanation: Ans. Foreign body retained is the fornix